Sunray appearance on X-ray is seen in:
1. Osteogenic sarcoma
2. Ewing's sarcoma
3. Multiple myeloma
4. Osteoclastoma

Correct answer: 1. Osteogenic sarcoma

Explanation: Ans. Osteogenic sarcoma